Inferior rib notching is present in
1. TAPVC
2. Coarctation of aorta
3. Fallot's tetralogy
4. Ventricular septal defect

Correct answer: 2. Coarctation of aorta

Explanation: Causes of rib notching ae: - A) Inferior surface
1) Arterial
i) Coarctation of aorta Bilateral Rib notching is seen on the lower border of 3 rd to 8th ribs. Rib notching is absent in the 1st & 2nd ribs. Rib notching is usually present after the age of 7 years.
ii) Aortic thrombosis (aortic obstruction) or aortitis.
iii) Subclavian obstruction after Blalock operation for Fallot’s tetralogy (Taussig Blalock operation).
iv) Pulmonary oligemia Pulmonary atresia,
1)TOF, absent pulmonary artery.
2) Venous : - SVC obstruction
3) Arteriovenous : - Pulmonary arteriovenous malformation, chest wall arteriovenous malformation.
4) Neurogenic : - Neurofibromatosis.
B) Superior surface
1) Connective tissue diseases: - SLE, Scleroderma, RA, Sjogren’s syndrome.
2) Metabolic : - Hyperparathyroidism
3) Miscellaneous : - Neurofibromatosis, Restrictive lung disease, Poliomyelitis, Marfan’s syndrome, progeria, Osteogenesis imperfecta.